True statement among the following regarding diaphragm
is
1. Thoracic duct is a content of Oesophageal opening
2. Left Vagus nerve passes via Venacaval opening
3. Azygos vein is a content of Aortic opening
4. Sympathetic chain passes behind lateral arcuate ligament

Correct answer: 3. Azygos vein is a content of Aortic opening

Explanation: Azygos vein, Aorta and Thoracid duct are the contents of Aortic opening.